Useless hand of oppenheim was described for
1. Multiple sclerosis
2. Median nerve palsy
3. Ulnar nerve palsy
4. All of the above

Correct answer: 1. Multiple sclerosis

Explanation: Answer- A. Multiple sclerosisUseless Hand of oppenheim was described in Multiple sclerosis